Which of the following is not an example of measure of central tendency?
1. Mean
2. Mode
3. Median
4. Range

Correct answer: 4. Range

Explanation: Measures of central tendency are statistics that summarize a distribution of score by reporting the most typical or representative of the population. Measures of central tendency include: Mean Mode Median Range is example of dispersion. Ref: Medical biostatistics, 1st edition pg: 111